Which of the following will produce decreased EEG ACTIVITIES?
1. hypothermia
2. early hypoxia
3. ketamine
4. nitrous oxide

Correct answer: 1. hypothermia

Explanation: Decreased EEG Increased EEG All inhalational and intravenous anaesthetics Ketamine hypoxia N2O hypercapnia Early hypoxia Hypothermia Early hypothermia Hypotension Early hypercapnia Early hypotension